A 34-year-old man complains of sudden attacks of dizziness, blurred vision, and excruciating headaches of 4 months in duration. During one of these attacks, his blood pressure was 180/120 mm Hg. The patient's father had been treated for thyroid cancer about 15 years ago. Laboratory studies show normal serum levels of aldosterone, renin, and angiotensin. A 24-hour urinalysis reveals increased metanephrines. Episodic hypertension in this patient is most likely caused by a tumor in which of the following endocrine organs?
1. Adrenal
2. Kidney
3. Parathyroid
4. Pituitary

Correct answer: 1. Adrenal

Explanation: - Given clinical features suggests the diagnosis of Pheochromocytoma - Pheochromocytoma Arising from chromaffin cells of adrenal medulla that secretes catecholamines. Can originate in extra-adrenal sites - Paragangliomas. Clinical features are caused d/t release of catecholamines. - The other choices do not include tumors that lead to episodic hypertension.